Fusion of two eyelids by thin tags is called-
1. Ankyloblepharon filiforme adnatum
2. Euryblepharon
3. Ablepharon
4. Epiblepharon

Correct answer: 1. Ankyloblepharon filiforme adnatum

Explanation: Ans. is 'a' i.e., Ankyloblepharon filiforme adnatum * In ankyloblepharon filiforme adnatum the upper and lower eyelids are joined by thin tags; most cases are sporadic. Treatment involves transection with scissors; anaesthesia is not required.* Ablepharon consists of deficiency of the anterior lamellae of the eyelids; treatment involves reconstructive skin grafting.* Euryblepharon refers to horizontal enlargement of the palpebral fissure with associated lateral canthal malposition and lateral ectropion; lagophthalmos and exposure keratopathy may result.* Epiblepharon comprises an extra horizontal fold of skin stretching across the anterior lid margin; it is very common in individuals of Eastern Asian ethnicity.